Epilepsy is defined as:
1. One or more unprovoked seizures
2. Two or more unprovoked seizures
3. Three or more unprovoked seizures
4. Four or more unprovoked seizures

Correct answer: 2. Two or more unprovoked seizures

Explanation: Epilepsy is a condition where the patient has 2 or more episodes of unprovoked seizures.